Peripartum cardiomyopathy occurs at-
1. Within 7 days
2. Within 6 weeks
3. Within 24 months
4. Within 5 months

Correct answer: 4. Within 5 months

Explanation: PPCM is a structural heart muscle disease that occurs in women either at the end of pregnancy or up to five months after giving birth REF : DUTTA BOOK OF OBESTETRICS